Which is true about stab wound -
1. Breadth is maximum
2. Length is maximum
3. Depth is maximum
4. It has wound of entry and exit

Correct answer: 3. Depth is maximum

Explanation: The synopsis of forensic medicine & toxicology ; Dr k.s narayan reddy ; 28th edition ; Pg.no. 116 ; In a stab wound the depth ( length of track ) is greater than the width & length of external injury ,the depth of a stab wound is usually equal to or less than length of blade ,that is used in producing it ,but in anterior abdominal wall depth of wound is greater due to the force of thrust that may press the tissue underneath .